All of the following are boundaries of Hesselbach's triangle except-
1. Lacunar ligament
2. Inguinal ligament
3. Lateral border of rectus abdominis
4. Inferior epigastric artery

Correct answer: 1. Lacunar ligament

Explanation: Ans. is 'a' i.e., Lacunar ligament Inguinal triangle of hesselbach* It is a peritoneal triangle in the posterior wall of the inguinal canal,* Boundariesi) Lateral- inferior epigastric arteryii) Medial-lateral border of rectus abdominisiii) Inferior- inguinal ligament* Direct inguinal hernia enters the inguinal canal through this triangle, which is divided by the obliterated umblical artery into a medial part (supravesical fossa) and a lateral part (medial inguinal fossa).